Intermediate filaments in epithelial cells is
1. Keratin
2. Vimentin
3. Desnin
4. Lamin

Correct answer: 1. Keratin

Explanation: Intermediate filaments are used as tumor markers Epithelial cells:keratin Muscle cells:desnin Nucleus:lamin Ref:Guyton and Hall textbook of medical physiology 12th edition,page number:8,9,14